Following conditions can themselves cause metabolic acidosis -a) Diarrheab) Diureticc) Ethylened) RTA
1. abc
2. acd
3. bc
4. bde

Correct answer: 2. acd